Autopsy of lung of an old man shows that the bronchi are lined by stratified squamous epithelium. What is this change
1. Metaplasia
2. Dysplasia
3. Hyperplasia
4. Hypertrophy

Correct answer: 1. Metaplasia